Mycoplasmas differ from chlamydiae in that they are
1. Susceptible to penicillin
2. Able to grow on artificial cell-free media
3. Able to cause urinary tract infection
4. Able to stain well with Gram's stain

Correct answer: 2. Able to grow on artificial cell-free media

Explanation: Mycoplasmas lack a rigid cell wall and are bound by a triple-layer unit membrane. For this reason, they are completely resistant to the action of penicillins. Unlike the chlamydiae, they can replicate in cell-free media.